Which of the following is associated with an intrinsic defect in RBC membrane
1. Autosomal hemolytic anaemia
2. Hereditary spherocytosis
3. Microangiopathic haemolytic anaemia
4. Thermal injury causing anaemia

Correct answer: 2. Hereditary spherocytosis

Explanation: Ref Robbins 9/e p632regarding hereditary spherocytosis: this inherited disorder is caused by intrinsic defects in the red cell membrane that render red cells sheroid ,less deformable, and vulnerable to splenic sequestration and destruction Other disorders with intrinsic defect in red cell membrane are hereditary elliptocytosis and abetalipoproteinemia